Which is a finding in lymphoid tissues in individuals with common variable hypogammaglobulinemia?
1. Decreased B cell count
2. Increased B cell count
3. Normal B cell count
4. Absent B cells

Correct answer: 3. Normal B cell count

Explanation: Common Variable Immunodeficiency Near Normal number of B cells in blood & LN Unable to differentiate to plasma cells Intrinsic B cell defects - defective CK receptor BAFF Also abnormal T cell regulation of B cells Both sexes equally; manifest in childhood or adolescence Presents as Recurrent sinopulmonary pyogenic infections Recurrent herpes V infection Persistent diarrhoea by G Lamblia RA Lymphoid malignancy